The antibiotic which acts by interfering with addition of new cell wall subunits (Muramyl pentapeptides) is:
1. Bacitracin
2. Penicillins
3. Vancomycin
4. Mupirocin

Correct answer: 3. Vancomycin

Explanation: Vancomycin, penicillin and bacitracin acts by inhibiting cell wall synthesis. Ref: Harrisons, Edition-18, Page : 1134.